Toynbee's muscle is
1. Tensor tympani
2. Stapedius
3. Levator ani
4. Scalenus minimus

Correct answer: 1. Tensor tympani

Explanation: Tensor tympani is called as Toynbee muscle origin, the cartilaginous part of the pharyngotympanic (auditory) tube and the walls of its hemicanal just above the bony portion of the pharyngotympanic tube; insertion, handle of malleus; action, draws the handle of the malleus medially tensing the tympanic membrane to protect it from excessive vibration by loud sounds. nerve supply, branches of trigeminal through the otic ganglion Ref - Pubmed.com